A 70-year-old male presents with Neck nodes. Examination reveals a Dull Tympanic Membrance, deafness and tinnitus and on evaluation Audiometry gives Curve B. The most probable diagnosis is:
1. Nasopharyngeal carcinoma
2. Fluid in middle ear
3. Tumor in interior ear
4. Sensorineuronal hearing loss

Correct answer: 1. Nasopharyngeal carcinoma